Organic cause for erectile dysfunction is most commonly:
1. Psychological
2. Vascular
3. Neuronal
4. Hormonal

Correct answer: 2. Vascular

Explanation: Ans. B: Vascular ED is essentially a vascular disease. It is often associated with other vascular diseases and conditions such as diabetes, hypertension, and coronary artery disease. Other conditions associated with ED include neurologic disorders, endocrinopathies, benign prostatic hyperplasia, and depression. Conditions associated with reduced nerve and endothelium function, such as aging, hypertension, smoking, hypercholesterolemia, and diabetes, alter the balance between contraction and relaxation factors. These conditions cause circulatory and structural changes in penile tissues, resulting in arterial insufficiency and defective smooth muscle relaxation. In some patients, sexual dysfunction may be the presenting symptom of these disorders. Additionally, ED is often an adverse effect of many commonly prescribed medications. Some psychotropic drugs and antihypertensive agents are associated with ED.